which muscle doesnot contribute to pes anserinus ?
1. semimembranosus
2. semitendinosus
3. gracilis
4. sartorius

Correct answer: 1. semimembranosus

Explanation: except semimembranous rest of the msucles together is called pes ansirinus Pes anserinus ("goose foot") refers to the conjoined tendons. of three muscles that insert ont the anteromedial (front and inside) surface of the proximal sera extremity of the tibia. * The muscles are the sartorius, gracilis and semitendinosus sometimes referred to as the guy ropes. ref : bd chaurasia